ATRA is used in treatment of tumour which is associated with which of the following
1. PML RARA
2. BCR ABL
3. C myc
4. CEBPA

Correct answer: 1. PML RARA

Explanation: PML RARA So AML M3 is associated with PML RARA fusion product And the treatment AML M3 is ATRA or arsenic trioxide ref : robbins 10th ed